Tumour lysis syndrome all occurs except -
1. Hyperkalemia
2. Hypercalcemia
3. Hyperuricemia
4. Hyperphosphatemias

Correct answer: 2. Hypercalcemia